Most common site of metastasis in intraorbital melanoma is
1. Brain
2. Lung
3. Lymph node
4. Liver

Correct answer: 4. Liver

Explanation: Blood-borne metastasis usually occurs in liver and is the commonest cause of death. Lymphatic spread is usually not known. Ref: khurana page no. 174